Regarding Golgi tendon organ true is
1. Senses dynamic length of muscle
2. Involved in reciprocal innervation
3. a-motor neuron stimulation
4. Senses muscle tension

Correct answer: 4. Senses muscle tension

Explanation: Ans. is 'd' i.e. senses muscle tensionThe Golgi Tendon organ is an encapsulated sensory receptor through which muscle tendon fibres pass and it is stimulated by increased tension in the connecting muscle. So basically detects muscle tension as reflected by the tension in itself. Whereas muscle spindle (other sensory receptor) detects muscle length and changes in muscle length.Golgi tendon organ - detects muscle tensionMuscle spindle - detects muscle length and changes in muscle length.Muscle spindle and Golgi tendon organ both receptors are important component of intrinsic muscle control.Muscle spindle acts through muscle stretch reflex. Whenever a muscle is stretched suddenly, excitation of the spindles cause reflex contraction of the large skeletal muscle fibres of stretched muscle thus maintain the muscle length & stabilize body positions during tense motor action. Stretch reflex also prevents oscillations & jerkiness of body movements.However when the tension in muscle becomes great enough, contraction suddenly ceases and the muscle relaxes. This relaxation in response to strong stretch is called the inverse stretch reflex, autogenic inhibition or lengthening reaction. The receptor for this reflex is in the Golgi tendon organ. This is a protective mechanism to prevent tearing of the muscle or avulsion of the tendon from its attachment to the bone.Reciprocal innervation is the phenomenon in which relaxation of antagonistic muscles occur when a stretch reflex occurs and Golgi bottle neurons (inhibitory intetneuron) are involved in this phenomenon.a-motor neurons are anterior motor neuron (located in ant. horn of spinal cord) and when stimulated cause contraction of muscle fibres. Golgi tendon organs when stimulated cause a -motor neuron inhibition (Muscle spindle stimulation causes a-motor neuron excitation)